All of the following drugs are used in Bipolar mood disorder except
1. Sodium valproate
2. Oxcarbazine
3. Pregabaline
4. Lamotrigine

Correct answer: 3. Pregabaline

Explanation: (C) Pregabaline # Treatment of Bipolar Disorder> Lithium is generally the drug of choice to stabilize the person and is usually very effective in controlling mania and preventing new episodes.> Response to lithium treatment may take several days. Several medications are approved for the treatment of acute mania, including: Clozapine Olanzipine Quetiapine Risperidone Aripiprazole Ziprasidone> Anticonvulsant drugs may also be used. These include: Valproate Lamotrigine Carbamazepine Oxcarbazepine